Cytosolic cytochrome C plays an important function in:
1. Apoptosis
2. Cell necrosis
3. Electron transport chain
4. Cell division

Correct answer: 1. Apoptosis

Explanation: . Apoptosis